Nasal polypoidal mass with subcutaneous nodules on skin are seen in:
1. Zygomycosis
2. Rhinosporidiosis
3. Sporotrichosis
4. Aspergillosis

Correct answer: 2. Rhinosporidiosis

Explanation: In Rhinosporiodiosis, leafy, polypoidal mass of pink-purple color is seen attached to nasal septum or lateral wall. Subcutaneous nodules may be seen on skin.